A 40-year-old woman presents with severe headaches and dizziness. An MRI reveals a brain tumor, and a biopsy confirms it as a melanoma. She dies 2 months later. Pigmented lesions are not seen on her skin or scalp at the time of diagnosis or during postmortem examination. Which of the following is the most likely source of the malignant melanoma cells?
1. Superior sagittal sinus
2. Sphenoidal sinus
3. Retina of the eye
4. Pituitary gland

Correct answer: 3. Retina of the eye

Explanation: Melanocytes in the pigmented layer of the retina are a potential source of malignant melanoma cells. The tumor spreads hematogenously directly to the brain and has a very poor prognosis. None of the other listed structures contains melanocytes.